Condition not associated with Pancreatic Panniculitis is
1. Pancreas cancer
2. Chronic Pancreatitis
3. Acute Pancreatitis
4. Pancreatic mucinous cyst

Correct answer: 4. Pancreatic mucinous cyst

Explanation: Panniculitis is a group of disease whose hallmark is inflammation of subcutaneous adipose tissue. Symptoms- Tender skin nodules, Fatigue, Weight loss. Acute or chronic pancreatitis and pancreatic carcinoma (usually of acinar cells) are the most common pancreatic diseases associated with pancreatic panniculitis. However, pancreatic pseudocyst, post-traumatic pancreatitis, pancreas divisum and pancreatic vascular fistulas have also been reported.